In Myasthenia gravis, antibodies are present against -
1. Muscarinic receptor proteins
2. Nicotinic receptor proteins
3. Protein actin
4. Protein myosin

Correct answer: 2. Nicotinic receptor proteins

Explanation: Myasthenia gravis is an autoimmune disorder due to development of antibodies against Nm type of nicotinic receptors.